Content of cobblestone in vernal conjunctivitis is?
1. Eosinophils
2. Basophills
3. Lymphocytes
4. Histiocytes

Correct answer: 1. Eosinophils

Explanation: ANSWER: (A) EosinophilsREF: Inflammatory diseases of the conjunctiva by Thanh Hoang-Xuan, Christophe Baudouin, Catherine Creuzot-Garcher Page 54Vernal keratoconjunctivitis is characterized by giant papillae (diameter > 1 mm) on the superior tarsal conjunctiva, giving a cobblestone aspect. The papillae causing cobblestones in vernal keratoconjuctivitis have eosinophil